Pepper pot appearance of skull is seen in-
1. Multiple myeloma
2. Hyperparathyroidism
3. Sickle cell anemia
4. Fibrous dysplasia

Correct answer: 2. Hyperparathyroidism

Explanation: Ans. is 'b' i.e., Hyperparathyroidism Salt and pepper skull/ pepperpot skull* Multiple tiny well-defined lucencies in the skull vault caused by resorption of trabecular bone* There is a loss of definition between the inner and outer tables of the skull and a groundglass appearance as well as spotty deossification* Seen in hyperparathyroidismImportant radiological appearance of skulli) Lacunar skull - Arnold chiari malformationii) Geographic skull - Eosinophilic granulomaiii) Cotton wool skull - Paget's diseaseiv) 'Salt-pepper' skull - Hyperparathyroidismv) Groundglass skull - Fibrous dysplasiavi) Punched out/Raindrop lesion of skull - Multiple myelomavii) Ping-Pong skull - Fracture skull in children